Hypercalcemia is caused by all EXCEPT :
1. Loop diuretics
2. Lithium
3. Vitamin D intoxication
4. Thiazides

Correct answer: 1. Loop diuretics

Explanation: LOOP loses CALCIUM. Loop diuretics cause hypocalcemia by more excretion whereas thiazides cause hyperkalemia by decreasing its excretion.